True about ureter's entry into bladder-a) At medial angle of trigoneb) At lateral angle of trigonec) Make an angled) Is straighte) Valveless
1. bce
2. bc
3. acd
4. ace

Correct answer: 1. bce

Explanation: Ureter opens into the lateral angle of trigone of the bladder.
It passes obliquely (at an angle) through the bladder wall. This intravesical oblique course has a valvular action (but there is no true valve).